Which of the following is not an adverse effect of Furosemide?
1. Hyper uricemia
2. Hypokalemia
3. Ototoxicity
4. Hypercalcemia

Correct answer: 4. Hypercalcemia

Explanation: Furosemide is a loop diuretic which acts by inhibiting Na-K-Cl cotransport in the thick ascending limb of Loop of Henle. It increases calcium excretion and cause hypocalcemia. Other side effects of furosemide are hypokalemia, ototoxicity, hyperuricemia and hypomagnesemia.